"Persona" is a method of -
1. Natural contraceptive
2. Hormonal contraceptive
3. Barrier contraceptive
4. IUCD

Correct answer: 1. Natural contraceptive

Explanation: Persona It is a microcomputer attached to a micro-labaratory. It measures the level if oestrone-3-glucuronide and LH in the morning urine by dipping a test stick in the urine. Green light shows contraception unlikely Red light shows fertile period and warns the probable ovulation and contraception. The failure rate with this technique is approximately 6 per 100 per women Ref : Shaw textbook of gynecology Pgno : 266